Stalicite growth is by:
1. Yersenia
2. Mycoplasma
3. Diptheria
4. Clostridia

Correct answer: 1. Yersenia

Explanation: Yersenia